The following muscles are attached to the coracoid process of the scapula except
1. Coracobrachialis
2. Short head of biceps
3. Pectoralis minor
4. Long head of triceps

Correct answer: 4. Long head of triceps

Explanation: Long head of triceps attaches to the infraglenoid tubercle on the lateral border of the scapula. Attachments of coracoid process : Origin - Coracobrachialis ; Short head of biceps Insertion - Pectoralis minor 3 ligaments - Coracoacromial, Coracoclavicular, Coracohumeral. Ref : Gray's Anatomy The Anatomical Basics of Clinical Practice 41e pg 803.